In Valvular Aortic Stenosis poorest prognosis in indicated when -
1. Angina occurs
2. Syncope occurs
3. Dyspnea occurs
4. Palpitation occurs

Correct answer: 3. Dyspnea occurs